Which of the following aminoglucoside carries the highest risk of neuromuscular blockade?
1. Tobramycin
2. Neomycin
3. Amikacin
4. Kapromycin

Correct answer: 2. Neomycin

Explanation: All aminoglycosides have neuromuscular blocking action.
Maximum by Neomycin
Minimum by Tobramycin